Neuroleptic malignant syndrome is characterized by all EXCEPT
1. Hyperthermia
2. Increased BP and heart rate
3. Hypothermia
4. Immobility rigidity

Correct answer: 3. Hypothermia

Explanation: (C) Hypothermia # NEUROLEPTIC MALIGNANT SYNDROME is characterized by the following conditions such as the:> Hyperthermia> Immobility Rigidity> Increased BP> Increased Heart rate